Nux vomica seeds contain 2 alkaloids, strychnine and :
1. Hyoscine
2. Hyoscyamine
3. Brucine
4. Atropine

Correct answer: 3. Brucine

Explanation: C i.e. Brucine